Acute metabolic acidosis
1. Has biphasic effect on K+ excertion
2. Does not effect K+ excretion significantly
3. Decreases urinary K+ excertion
4. Increases urinary K+ excretion

Correct answer: 3. Decreases urinary K+ excertion

Explanation: It is seen in low anion gap acidosis. Other features seen: low serum albumin (nephrotic syndrome.) High immunoglobulins (multiple myeloma) Increaed Li Increaed : K+, Ca2+, Mg2+ Ref: Harrison's 19thE